Which of the following group of drugs should be avoided in diabetics?
1. a1-blockers
2. a2-blockers
3. b1-blockers
4. b2-blockers

Correct answer: 4. b2-blockers

Explanation: B2 blocker or non-selective beta-blockers should be avoided in diabetics as they mask the symptoms of hypoglycemia. Cardioselective beta blockers or beta 1 blockers can be given.Ref: Katzung 13th ed Pg: 179